The DMF index when used for primary teeth, uses
1. Upper case letters
2. Title case letters
3. Lower case letters
4. Sentence case letters

Correct answer: 3. Lower case letters